The flexure that develops between the metencephalon and the myelencephalon is called the
1. cephalic flexure
2. mesencephalic flexure
3. pontine flexure
4. cerebellar flexure

Correct answer: 3. pontine flexure

Explanation: Pontine flexure develops between the metencephalon (pons) and the myelencephalon (medulla). It results in lateral expansion of the walls of the metencephalon and myelencephalon, stretching of the roof of the fourth ventricle, and widening of the floor of the fourth ventricle (rhomboid fossa). The cephalic flexure, is the first flexure or bend that forms between the midbrain and hindbrain.